Most common oral cancer;
1. Squamous cell ca
2. Adenocarcinoma
3. Transition cell ca
4. Mucoepidermoid

Correct answer: 1. Squamous cell ca

Explanation: MC histological type- Squamous cell ca MC type of cancer in India - CA oral cavity MC site of CA Oral cavity - Tongue > lip IOC for Dx - Edge Biopsy